While giving incision for third molar trans-alveolar extraction, if the posterior extension of the incision is given in straight line, it would damage the lingual nerve, because?
1. The blade has tendency to cut nerve before muscle
2. Mandible ramus diverges laterally
3. Temporalis fibers are resistant to cut
4. Non of the above

Correct answer: 2. Mandible ramus diverges laterally

Explanation: Due to the lateral diversion of the mandibular ramus, posterior extent of the incision must extend laterally to the anterior ramus, to prevent damage to the lingual nerve.